Ductus arteriosus obliterates to form:
1. Ligamentum venosum
2. Ligamentum teres
3. Ligamentum hepatis
4. Ligamentum arteriosum

Correct answer: 4. Ligamentum arteriosum

Explanation: Ans. D. Ligamentum arteriosumChanges in Fetal Circulation Just after Birth After birth, the placenta is separated from newborn and lung startsoxygenating the blood, i.e., respiration is established. Now the oxygenated blood comes to heart from the lungs. As a result, the following changes take place in fetal circulation:a. Umbilical vein, as it no longer carries any blood from the placenta, obliterates and forms a fibrous ligament called ligamentum teres hepatis.b. Ductus venosus obliterates to form a fibrous ligament called ligamentum venosum.c. As the lungs are inflated and the pulmonary circulation is established, pulmonary veins bring more blood to the left atrium. Now, as the pressure of blood in the left atrium is more than that in the right atrium the septum primum is pushed to the right and the foramen ovale is closed. At first the closure of foramen ovale is physiological, but later on septum primum fuses with the septum secundum and there is an anatomical closure of foramen ovale. The closed foramenovale forms fossa ovalis.d. Ductus Arteriosus obliterates to form a fibrous ligament called the ligamentum arteriosum.e. Umbilical arteries (right and left) obliterate. However, their proximal parts remain open. The proximal parts of umbilical arteries form superior vesical arteries whereas their distal parts form fibrous ligaments called medial umbilical ligaments.